Anticoagulant of choice for prophylaxis of venous thromboembolism in patient with cancer surgery is:-
1. Heparin sulfate
2. Protamine sulfate
3. Low molecular weight heparin
4. Warfarin

Correct answer: 3. Low molecular weight heparin

Explanation: Venous Thromboembolism- precipitating factor -estrogen in females PREVENTION OF Venous Thromboembolism AMONG HOSPITALIZED PATIENTS Condition Prophylaxis High risk non - orthopedic surgery Unfractionated heparin Low molecular weight heparin (LMWH) Cancer surgery(associated thromboembolism ) LMWH Major orthopedic surgery Warfarin LMWH Aspirin Factor Xa inhibitors (Apixaban) Dabigatran Medically ill patients during hospitalization Unfractionated heparin LMWH Medically ill patients after hospitalization Betrixaban